The most specific feature of death due to hanging is :
1. Tardieu sports
2. Ligature mark
3. Fracture of thyroid cartilage
4. Dribbling of saliva

Correct answer: 4. Dribbling of saliva

Explanation: D i.e. Dribbling of saliva